Bronchial asthma patient on artificial ventilation requires
1. A low respiratory flow
2. An equal IE ratio of 1:1
3. An inverse ratio ventilation
4. An IE ratio 1:2.5

Correct answer: 4. An IE ratio 1:2.5